Asteroid bodies and cigar shaped globi may be produced by-
1. Histoplasmosis
2. Sporotrichosis
3. Candida
4. Aspergillus

Correct answer: 2. Sporotrichosis

Explanation: Sporotrichosis or Rose Gardner's disease - Chronic subcutaneous pyogranulomatous disease Caused by a thermally dimorphic fungus Sporothrix schenckii. Mould: Flower like sporulation Laboratory Diagnosis: Direct Microscopy by H and E staining of tissue sections reveals cigar shaped asteroid bodies. It is described as central basophilic yeast cell surrounded by eosinophilic mass, composed of antigen-antibody complexes. Such eosinophilic halo is described as Splendore-Hoeppli phenomenon.